Dubration of training of ASHA worker is?
1. 21 days
2. 23 days
3. 30 days
4. 35 days

Correct answer: 2. 23 days

Explanation: ASHA must be the resident of the village-a woman (married/widow/divorced) preferably in the age group of 25 to 45 years with formal education up to eighth class ,having communication skills and leadership qualities.Adequate representation from the disadvantaged population groups will ensure to serve such groups better (refer pgno: 449 park 23rd edition)